Korner's septum is seen in?
1. Petro-squamous suture
2. Temporo-squamous suture
3. Petro-mastoid suture
4. Fronto-zygomatic suture

Correct answer: 1. Petro-squamous suture

Explanation: Ans. (a) Petro-squamous sutureRef: Dhingra 5/th ed. / 8